A well differentiated follicular carcinoma of thyroid can be best differentiated from a follicular adenoma by
1. Hurthle cell change
2. Lining of tall columnar and cuboidal cells
3. Vascular invasion
4. Nuclear features

Correct answer: 3. Vascular invasion

Explanation: A well differentiated follicular carcinoma of thyroid can be best differentiated from a follicular adenoma by capsular invasion/ vascular invasion. This is not made out in FNAC and hence FNAC is not very useful. USG can make out this differentiating feature of follicular carcinoma. Reference : page 482 SRB's manual of surgery 5th edition